Pinpoint hemorrhages of < 1cm diameter are known as
1. Petechiae
2. Ecchymoses
3. Purpura
4. Pustules

Correct answer: 1. Petechiae